A patient presents to you with musculoskeletal complaints. The main concern is to differentiate articular versus non articular origin of pain. Which of the following feature is suggestive of non articular origin of pain?
1. Pain or decrease range of motion on active and passive movement both
2. Swelling
3. Crepitation
4. Pain on active movement but not on passive movement

Correct answer: 4. Pain on active movement but not on passive movement

Explanation: Differentiation between articular and extraarticular joint disorders - Articular disorders are characterized by internal/deep joint pain that is exacerbated by active and passive motion and by reduced range of motion. - Extraarticular disorders are associated with joint pain with active motion rather than passive motion in addition, range of motion often is preserved.